Thoracic outlet syndrome is seen most commonly in which age group
1. Children
2. Elderly
3. Middle aged women
4. Atheletes

Correct answer: 3. Middle aged women

Explanation: .THORACIC OUTLET SYNDROME (TOS) It is syndrome complex due to neurovascular bundle compression in the thoracic outlet. Thoracic outlet has got two main spaces: * Scalene triangle is bound by scalenus anterior, scalenus medius and first rib. It contains subclavian artery and brachial plexus. * Costoclavicular space is bound by clavicle, first rib, costoclavicular ligament and scalenus medius. It contains subclavian artery and vein and brachial plexus. Causes - * Cervical rib. * Long C7 transverse process. * Anomalous insertion of scalene muscles. * Scalene muscle hypertrophy. * Scalene minimus. * Abnormal bands and ligaments. * Fracture clavicle or first rib. * Exostosis. * Tumours in the region. * Brachial plexus trauma and diseases. ref:SRB's manual of surgery,ed 3,pg no 378